Trisomy 21 is also known as:
1. Turner's syndrome
2. Klinefelter's syndrome
3. Down's syndrome
4. Alport's syndrome

Correct answer: 3. Down's syndrome

Explanation: Ans. C: Down's syndrome